Commonest type of Anal canal Ca is :
1. Sq. cell Ca
2. Adeno Ca
3. Adenoacanthoma
4. Papillary type

Correct answer: 1. Sq. cell Ca

Explanation: Ans. is 'a' ie Squamous cell Ca Mainly 3 types of malignant neoplasm are seen in anal canalSquamous cell Ca (MC)Basal cell Ca (IInd me)MelanomaRememberMC type of rectal & colon Ca - Adenocarcinoma*.